An 18-year-old boy is admitted with psychotic behavior. On examination, he is having dystonia and in-coordination. Liver enzymes are elevated. Which of the following is a possible diagnosis?
1. Rheumatic Chorea
2. Westphal variant of Huntington disease
3. Wilson disease
4. Hallervorden Spatz disease

Correct answer: 3. Wilson disease

Explanation: Disease Differentiating Features Rheumatic chorea -Emotional lability and poor handwriting -Hung up reflexes, -Pronator sign -Darting tongue LFT is normal. Westphal variant of Huntington disease Akinetic-rigid Parkinsonism like LFT isnormal. Hallervorden Spatz disease -Parkinsonism like features -Cognitive decline -Retinal pigmentary changes Wilson disease. -Basal ganglia damage -Deranged liver function